Which of the following best responds to sympathectomy?
1. Buerger's disease
2. Hyperhydrosis
3. Raynaud's disease
4. Acrocyanosis

Correct answer: 2. Hyperhydrosis

Explanation: Hyperhydrosis responds best to sympathectomy . Indications of Sympathectomy (BARA CHEF) Buerger's disease Atherosclerosis producing ischemia of limbs Raynaud's disease Acrocyanosis Erythrocyanosis Frost bite Hyperhydrosis Peripheral vascular insufficiency Causalgia